Cubital tunnel syndrome occurs due to compression of which structure:
1. Median nerve
2. Radial nerve
3. Ulnar nerve
4. Branchial artery

Correct answer: 3. Ulnar nerve

Explanation: Cubital tunnel syndrome occurs due to compression of Ulnar Nerve.
Carpal tunnel syndrome: due to compression of median nerve